Complement binding immunoglobin via the classical pathway is
1. IgG & IgM
2. IgG & IgA
3. IgG & IgD
4. IgD & IgE

Correct answer: 1. IgG & IgM